All are TRUE about pneumococci, EXCEPT:
1. Spherical gram positive bacteria
2. 22 species are recognised
3. They reduce iron in hemoglobin to produce a green colour in blood agar
4. They grow best in 40% CO2

Correct answer: 4. They grow best in 40% CO2

Explanation: Pneumococci are spherical gram-positive bacteria . Greek streptos, meaning "twisted," and kokkos, meaning "berry." 22 streptococcal species are recognized and are divided further into groups based on their hemolytic properties. S. pneumoniae belongs to the alpha-hemolytic group that produces a greenish color on blood agar because of the reduction of iron in hemoglobin The bacteria are fastidious and grow best in 5% CO2. Ref: Harisson, Edition - 18, Page 1151